"Blood brain barrier" is present at all of the following sites except
1. Habenular nucleus
2. Subfornical organ
3. Cerebellum
4. Pontine nucleus

Correct answer: 2. Subfornical organ

Explanation: Structures outside blood brain barrier
-        Posterior pituitary
-        Ventral part of median eminence of hypothalamus
-        Area postrema
-        Organ vasculosum of lamina terminalis (OVLT)
 
-        Subfornical organ